All of the following statements about Gynaecomastia are true except:
1. Subcutaneous mastectomy is the initial treatment of choice
2. Seen in liver disease
3. There may be estrogen/testosterone imbalance
4. Can be drug induced

Correct answer: 1. Subcutaneous mastectomy is the initial treatment of choice